The ultimate goal of all epidemiological studies is:
1. Control of disease
2. Disruption of disease
3. Identification of disease
4. Quantification of disease

Correct answer: 1. Control of disease

Explanation: The ultimate goal is control of disease.